Secretomotor fibers in the superior salivatory nucleus pass through the following nerves to reach the Submandibular ganglion:
1. Facial nerve.
2. Chorda tympani.
3. Lingual nerve.
4. All of the above.

Correct answer: 4. All of the above.